Which of the following can be the principle modality of choice for evaluating lungs of a young patient with suspected alpha1 antitrypsin deficiency?
1. High resolution Ultrasound
2. Arthrography
3. HRCT
4. MRI

Correct answer: 3. HRCT

Explanation: HRCT is best to detect and evaluate suspected cases of bronchiectasis, emphysema, diffuse lung diseases and ILDs.